Laplace's law, all except
1. P = T/r
2. P = 2T/r
3. T = Pr/W
4. T = WP/R

Correct answer: 4. T = WP/R

Explanation: Law of Laplace, an important physical principle with several other applications in physiology. This law states that tension in the wall of a cylinder (T) is equal to the product of the transmural pressure (P) and the radius (r) divided by the wall thickness (w):T = Pr/w Ref: Ganong's Review of Medical Physiology 25th Edition. Page: 574